Finger is glove sign is seen in
1. Pulmonary alveolar Proteinosis
2. Pneumocystis Carinii
3. Tuberculosis
4. Bronchocele

Correct answer: 4. Bronchocele

Explanation: Ans. is 'd' i.e., Bronchocele Rabbit ear appearance Mickey mouse appearance Toothpaste shaped opacities Y-shaped opacities V-shaped opacities Aetiology Obstructive In bronchial obstruction, the portion of the bronchus distal to the obstruction is dilated with the presence of mucous secretions (mucus plugging). Causes of bronchial obstruction include : Bronchial hamartoma Bronchial lipoma Bronchial carcinoid Bronchogenic carcinoma Congenital bronchial atresia (rarely) Non obstructive Causes include .- Asthma Allergic bronchopulmonary aspergillosis (ABPA) Cystic fibrosis